All of the following are true about Clozapine EXCEPT
1. It can cause agranulocytosis
2. It has more affinity to D4 receptors compared to Dr
3. Has a lesser potency in blocking 5-HT2 than the D2 receptor
4. An atypical antipsychotic agent

Correct answer: 3. Has a lesser potency in blocking 5-HT2 than the D2 receptor

Explanation: (C) Has a lesser potency in blocking 5-HT2 than the D2 receptor # Model "atypical" antipsychotic agent is clozapine, a dibenzodiazepine that has a greater potency in blocking the 5HT2 than the D2 receptor and a much higher affinity for the D4 than the D2 receptor. Its principal disadvantage is a risk of blood dyscrasias.> Clozapine side effects: Agranulocytosis (1%); weight gain; seizures; drooling; hyperthermia